Degloving injury occurs at:-
1. Skin
2. Skin + Subcutaneous tissue
3. Skin + Fascia + Subcutaneous tissue
4. Everything above from bone

Correct answer: 2. Skin + Subcutaneous tissue

Explanation: Degloving injury - it is the separation of skin and subcutaneous tissues from the underlying bone, muscle or vasculature. Degloving occurs when the skin and subcutaneous fat are stripped by avulsion from the underlying fascia, leaving neuro vascular structures, tendon or bone exposed.